Finger by which all three major nerves of the upper limb can be tested -
1. Index
2. Ring
3. Thumb
4. Middle

Correct answer: 3. Thumb